Somites are derived from
1. Paraxial mesoderm
2. Lateral plate mesoderm
3. Intermediate mesoderm
4. Mesoblastic nephroma

Correct answer: 1. Paraxial mesoderm

Explanation: HUMAN EMBRYOLOGY-INDERBIR SINGH TENTH EDITION-PAGE NO:62 Some details about the paraxial mesoderm -at first, the cells of the paraxial mesoderm are homogeneously arranged .later, the mesoderm gets segmented -the segment is of two categories, somitomeres, and somites